Blood loss of fetal origin:
1. Placenta previa
2. Vasa previa
3. Abruption Placenta
4. Circumvallate placenta

Correct answer: 2. Vasa previa

Explanation: Ans. (b) Vasa previaRef. Dutta's obstetrics Th ed./259VASA PREVIA* In a vilamentous insertion of cord, the leash of blood vessels may traverse through membranes overlying the internal OS, in front of the presenting part. This condition is called Vasa previa.* Rupture of the membranes involves the overlying vessels and leads to vaginal bleeding.* This vaginal bleeding is, thus, entirely from fetal blood and may result in fetal exsanguination and even death.